A newborn was given a drug in neonatal ICU, but then was found in respiratory distress. The likely drug responsible is:
1. Morphine
2. Naloxone
3. Salbutamol
4. Soda-bicarb

Correct answer: 1. Morphine

Explanation: a. Morphine(Ref: AAP guidelines 2015)Causes of respiratory depression in neonateIntrapartum asphyxia (most common causeQDrugs: Morphine anestheticsSepsisPrematurity: CNS immaturity, surfactant deficiencyRespiratory: Diaphragmatic hernia, obstructive lesionsCNS abnormalities: Malformation, trauma, myopathy